Which of the following irrevbersibly inhibits cyclooxygenase
1. Celcoxib
2. Acetaminophen
3. Aspirin
4. Indomethacin

Correct answer: 3. Aspirin

Explanation: Aspirin